Most common cause of infectious keratitis in a contact lens user
1. Acanthamoeba
2. Pneumococcus
3. Pseudomonas
4. Staph

Correct answer: 3. Pseudomonas

Explanation: Most common cause of infectious keratitis in a contact lens user is pseudomonas Commonest causative organism associated with keratitis - pneumococcus Hypopyon ulcer / ulcus serpens - pneumococcus acanthamoeba : attacks contact lens that are washed with water.